A 45 yrs male presented with an expansile lesion in the centre of femoral metaphysis. The lesion shows Endosteal scalloping and punctuate calcifications. Most likely diagnosis is:
1. Osteosarcoma
2. Chondrosarcoma
3. Simple bone cyst
4. Fibrous Dysplasia

Correct answer: 2. Chondrosarcoma

Explanation: Middle aged female with expansile lesion in the femoral metaphysis with endosteal scalloping and punctuate calcifications give the diagnosis of chondrosarcoma. Ref: Concise Pathology By Chandrasoma P, Taylor C, 3rd Edition, Page 971; Robbins Pathologic Basis of Disease, 6th Edition, Page 1241; Essential Orthopedics By Maheshwari, 2nd Edition, Page 223